True about celiac plexus block is:
1. Is given for lower abdominal malignancies
2. The ganglia are located in the retroperitoneal space along L3 vertebra
3. Diarrhoea and hypotension are the common side effects
4. It is generally done unilaterally

Correct answer: 3. Diarrhoea and hypotension are the common side effects

Explanation: Ans is 'c' i.e. diarrhea and hypotension are the common side effects The most common side effects of celiac plexus block are hypotension and transient diarrhea. Rest 3 options are false: Celiac plexus block is used for upper abdominal malignancies and not lower. The ganglia is situated at the level of Ll. Block is done bilaterally. Celiac plexus block Celiac plexus is a network of nerve fibres around the celiac trunk consisting of celiac ganglion.